Betaxolol is a:
1. α blocker
2. β blocker
3. Calcium channel blocker
4. None

Correct answer: 2. β blocker